Which of the following is false about Psuedomembranous colitis
1. Occurs due antibiotics use
2. Caused by Clostridium difficile
3. Treatment is oral vancomycin
4. None of the above

Correct answer: 4. None of the above